Acrylic teeth in complete denture set against natural teeth leads to?
1. Fracture of enamel in natural teeth
2. Fracture of acrylic teeth in CD
3. Abrasion of acrylic teeth in CD
4. Abrasion of enamel in natural teeth

Correct answer: 3. Abrasion of acrylic teeth in CD

Explanation: It is very obvious if acrylic teeth set opposite to natural teeth tan most common consequences of that is abrasion of acrylic teeth due to their less abrasion resistance & high fracture toughness.